Which of the following bacteria act by increasing cAMP
1. Staphylococcus aureus
2. E. coli heat stable toxin
3. Vibrio cholera
4. Salmonella

Correct answer: 3. Vibrio cholera

Explanation: Cholera produces a potent enterotoxin known as cholera toxin.
This toxin consists of